Jitteriness can be distinguished from seizures by all of the following except
1. Senstivity to stimulus
2. Frequency of movement
3. Abnormality of Gaze
4. Autonomic disturbance

Correct answer: 2. Frequency of movement

Explanation: The movement resembles a tremor, and no autonomic changes, such as tachycardia, are associated with it. Seizures often are associated with ocular deviation and are not stimulus sensitive. Autonomic changes frequently accompany them. The movements are clonic, unlike the tremorlike movements of jitteriness. Jitteriness is distinguished clinically from clonic seizures by (1) no associated ocular movements or autonomic phenomena, (2) stimulus sensitivity, (3) tremor that is suppressed by flexing the limb. Reference: GHAI Essential pediatrics, 8th edition